All are X-ray findings of retinoblastoma except :
1. Widening of optic canal
2. Intra cerebral calcification
3. Intraocular calcification
4. Secondaries in cranial bones

Correct answer: 2. Intra cerebral calcification

Explanation: B i.e. Intracerebral calcification Retinoblastoma is the malignant congenital intraocular tumor arising from primitive photoreceptor cells of retina (included in primitive neuroectodermal tumor). Histologically, it shows Flexner-Wintersteiner rosettesQ (50%) Home-Wright rosettesQ &fleurettesQ. Clinically presents with cat's eye reflex/leukokoriaQ. Retinoblastoma is the most common cause orbital calcificationQ (nodular or punctate calcification & is favourable prognostic sign.) Enlargement of orbit & orbital canalQ occurs d/t involvement of optic nerve & intracranial extension. Metastasize to meninges, cranial bonesQ, bone marrow, lung, liver, lymph node.